Type 1 hypersensitivity includes all of the following except -
1. Autoimmune hemolytic anemia
2. Anaphylaxis
3. Extrinsic asthma
4. Hay fever

Correct answer: 1. Autoimmune hemolytic anemia

Explanation: Autoimmune hemolytic anemia is a type II hypersensitivity reaction. The reaction is initiated by IgG antibodies that react either with cell surface tissue antigen. Cell or tissue damage occurs in the presence of complement or mononuclear cells. Reference:Anathanarayan & paniker's 9th edition, pg no: 162